Antitubercular drug which causes Optic neuritis is
1. Isoniazid
2. Rifampicin
3. Ethambutol
4. Pyrizinamide

Correct answer: 3. Ethambutol